Structures passing through diaphragm through aortic hiatus are all except:
1. Aorta
2. Azygous vein
3. Thoracic duct
4. Hemiazygous vein

Correct answer: 4. Hemiazygous vein

Explanation: Aortic opening lies at the level of T12 vertebrae. It transmits:AortaThoracic ductAzygous vein